Type IIIA in Nyhus classification of hernia:
1. Direct inguinal hernia
2. Indirect inguinal hernia
3. Femoral hernia
4. Umbilical hernia

Correct answer: 1. Direct inguinal hernia

Explanation: Ans. (a) Direct inguinal hernia Ref: Sabiston 19/epi 120Nyhus Classification:Type 3:* 3 A- Direct hernia,* 3 B- Pantaloon hernia,* 3 C- Femoral hernia